Calorific value of fat is
1. 4
2. 7
3. 9
4. 2

Correct answer: 3. 9